Distal renal tubular acidosis is associated with
1. Oxalate stones
2. Citrate
3. Calcium stones
4. Uric acid

Correct answer: 3. Calcium stones